A child with unilateral nasal obstruction along with a mass in cheek and profuse & recurrent epistaxis:
1. Juvenile Nasal angiofibroma
2. Glomus tumour
3. Antrochoanal polyp
4. Rhinolith

Correct answer: 1. Juvenile Nasal angiofibroma

Explanation: Nasopharyngeal angiofibroma/ Juvenile nasopharyngeal angiofibroma It is a histologically benign but locally aggressive vascular tumor that grows in the back of the nasal cavity. It most commonly affects adolescent males. Patients with nasopharyngeal angiofibroma usually present with one-sided nasal obstruction and recurrent bleeding.